All are found is Posterior Mediastinum except:
1. Esophagus
2. Azygos vein
3. Thymus
4. Sympathetic Trunk

Correct answer: 3. Thymus

Explanation: Ans. C. ThymusThe part behind the pericardium (enclosing heart) is called posterior mediastinum. Its contents are - Esophagus, thoracic duct, descending aorta, Sympathetic Trunk, Azygos vein, hemiazygos vein, accessory hemiazygos vein, vagus nerve, posterior mediastinal lymph nodes.